How to avoid lipodystrophy in diabetics?
1. Avoid insulin injection
2. Change injection sites
3. Give injection on same site
4. Give injection on alternate days

Correct answer: 2. Change injection sites

Explanation: By changing the injection site every day, the incidence of lipodystrophy can be reduced significantly. Ref: KD Tripathi 8th ed.